Characteristic pathological feature of Parkinson's disease is presence of -
1. Lewy bodies
2. Babes nodule
3. Neuro fibrillary tangle
4. Negri-bodies

Correct answer: 1. Lewy bodies

Explanation: Ans. is 'a' i.e., Lewy Bodies Pathologic Examiniation in Parkinsons shows : Gross / Macroscopically : Pallor of the substantia nigra and locus ceruleus o Microscopic Examination : 1. Loss of catecholaminergic neurons in these regions + gliosis 2. Lewy bodies. o Lewy Bodies :are inclusion bodies found within neurons in Parkinsons disease. o Lewy bodies are single or multiple, intra-cytoplasmic, cosinophilic, round and elongated inclusions that often have a dense core surrounded by a pale halo. Ultrastructurally :These are composed of fine filaments, densely packed in the core but loose at the rim.